Antinuclear antibody specific for SLE is -
1. Anti ds DNA
2. Anti nuclear antibodies
3. Anti centromere antibody
4. Anti histone Ab

Correct answer: 1. Anti ds DNA

Explanation: Ans. is 'a' i.e., Anti ds DNA o Generic antinuclear antibody-Most sensitive for SLE.o Anti ds DNA & anti smith (Sm)-Most specific for SLE.o Anti histone-Drug induced lupus.o Anti-Ro & Anti-La-Neonatal lupus with congenital heart block and sjogren syndrome,o Anti DNA Topoisomerase (Anti Scl-70)-Diffuse systemic sclerosis (Diffuse scleroderma),o Anti - centromere-Localized systemic sclerosis (Localized scleroderma - CREST syndrome).o Anti Jo-1 (Histidyl-t-RNA synthase)-Inflammatory myopathies,o Anti U1 RNP-Mixed connective tissue disease.